Early complications of Tracheostomy are all EXCEPT
1. Haemorrhage
2. Apnoea
3. Pneumothorax
4. Stenosis

Correct answer: 4. Stenosis

Explanation: (Stenosis) (385-86-D)Complications of TracheostomyImmediate (at the time of operation)Intermediate (First few hours or days)LATE (Prolonged use of tubes for weeks & month)1. Haemorrhage2. Apnoea3. Pneumothorax due to injury to apical pleura4. Injury to recurrent laymgeal nerve5. Aspiration of blood6. Injury to oesophagus1. Bleeding, reactionary or secondary2. Displacement of tube3. Blocking of tube4. Subcutaneous emphysema5. Tracheitis and tracheobronchitis with crushing in trachea6. Atelectasis and lung abscess7. Local wound infection and granulations1. Haemorrhage - due to erosion of major vessels2. Laryngeal stenosis due to perichonditis of cricoid cartilage3. Tracheal stenosis4. Tracheo-oesophageal fistula5. Problems of decannulations6. Persistent tracheo cutaneous fistula7. Problems of tracheostomy scar, keloid or unsightly scar8. Corrosion of tracheostomy